Which color plastic bag is used for noninfectious waste?
1. White
2. Yellow
3. Red
4. Black

Correct answer: 4. Black

Explanation: Black is used for noninfectious waste Red-plastic bag -sharps Blue-non chlorinated plastic bag Ref: Textbook of Microbiology Baveja 5th ed Pg 641